All the following disorders are inherited except:
1. Protein S deficiency
2. Antiphospholipid antibody syndrome
3. Protein C deficiency
4. Factor V Leiden mutation

Correct answer: 2. Antiphospholipid antibody syndrome

Explanation: Ans: B (Anti phospholipid antibody syndrome) Ref: Robbins Pathologic Basis of Disease, 8th edition, Harrison's Online > Chapter 117. Arterial and Venous Thrombosis >Explanation:Heritable Causes of Arterial and Venous ThrombosisArterial ThrombosisPlatelet ReceptorsIntegrinsP1A2 polymorphismGPIVGPIbThrombin receptorRedox EnzymesPlasma glutathione peroxidaseEndothelial nitric oxide synthaseParaoxonaseHomocysteineCystathionine -synthase5.10-methylene tetrahydrofolate reductase (MTHFR) 'Venous ThrombosisProcoagulant Proteins* FibrinogenProthrombinProtein C Anticoagulant PathwayFactor V LeidenThrombomodulinFibrinolytic Proteins with Known PolymorphismsTissue plasminogen activator (tPa)Plasminogen activator inhibitor (PAI-1)HomocysteineCystathionine-synthase5,10-methylene tetrahydrofolate reductase (MTHFR)Acquired Causes of Venous ThrombosisSurgeryNeurosurgeryMajor abdominal surgeryMalignancyAntiphospholipid syndromeOtherTraumaPregnancyLong-haul travelObesityOral contraceptives/hormone replacementMyeloproliferative disordersPolycythemia vera